An elderly male presented with uncontrolled hypertension and sign of renal failure on biopsy shows medial thickening of arteries with onion skin appearance is diagnostic of?
1. Thrombo-angioobliterans
2. Arteriosclerosis obliterans
3. Hyperplastic arteriosclerosis
4. Hyaline arteriosclerosis

Correct answer: 3. Hyperplastic arteriosclerosis